Which of the following is given to treat thrombocytopenia secondary to anti-cancer therapy and is known to stimulate progenitor megakaryocytes?
1. Filgrastim
2. Oprelvekin
3. Erythropoietin
4. Anagrelide

Correct answer: 2. Oprelvekin

Explanation: Oprelvekin or recombinant interleukin-11- used in management of chemotherapy-induced thrombocytopenia S/E- fluid retention, heart failure, and arrhythmias. Two drugs that activate the thrombopoietin receptor: Romiplostim Eltrombopag These are used in idiopathic thrombocytopenia.